Pupil in acute iritis is:
1. Normal
2. Dilated
3. Constricted
4. Vertically oval

Correct answer: 3. Constricted

Explanation: In acute iritis (inflammation of iris) iris is irritated and pupil constricts due to stimulus of irritation Vertically oval, mid-dilated, non reacting pupil is seen in acute angle closure glaucoma.